The clotting factor which is not increased in pregnancy :
1. Factor 2
2. Factor 7
3. Factor 10
4. Factor 11

Correct answer: 4. Factor 11

Explanation: Pregnancy is a hypercoagulable state. Fibrinogen level is raised. There is increase in activities of clotting factors like X, IX, VIII, VII and I. The levels of II, V and XII are either unchanged or mildly increased. The level of factors XI and XIII are slightly decreased.The clotting time does not show any significant change. These are all effective to control blood loss and hemostasis after the separation of placenta.Levels of coagulation factors normalize 2 weeks postpartum. Reference: Dutta's Textbook of Obstetrics 7th edition page 52